Which of the following factors does not need to be considered when evaluating a crown fracture with pulp exposure?
1. Extent of fracture
2. Stage of root development
3. Position in the arch
4. Length of time since the injury

Correct answer: 3. Position in the arch